Heimlich manoeuvre is indicted for:
1. Near drowning
2. Wet drowning
3. Choking
4. Gagging

Correct answer: 3. Choking

Explanation: Ans. (C). ChokingHeimlich manoeuvreQ is a first aid procedure used to treat choking or upper airway obstructions by foreign objects.The term Heimlich manoeuvre is named after Dr. Henry Heimlich.